Which of the following methods can be used to detect rubella infection in children –
1. T4 cell count
2. Fetal hemoglobin
3. IgM antibody in fetal blood
4. IgA Antibody in fetal blood

Correct answer: 3. IgM antibody in fetal blood

Explanation: Laboratory diagnosis

Isolation of virus in cell cultures of throat samples, urine or other secretions.
Normally, a maternal rubella antibody in the form of IgG is transferred to infants and is gradually last over a period of 6 months. Persistent beyond I year in an unvaccinated child suggests the diagnosis of congenital rubella.
Presence of IgM antibodies is diagnostic.
PCR for rubella RNA.